Pierre robin syndrome is a
1. Deformation
2. Malformation
3. Disruption
4. Sequence

Correct answer: 4. Sequence

Explanation: Sequence describes anomalies that all develop sequentially from one insult.
Pierre robin sequence. Micrognathia → glossoptosis → cleft palate.